Major criteria of Rheumatic fever -a) Choreab) Erythema nodosumc) Arthritisd) Fevere) Carditis
1. acd
2. bde
3. ace
4. ade

Correct answer: 3. ace